Miner's cramps are associated with?
1. Heat collapse
2. Heat cramps
3. Sunstroke
4. Heat exhaustion

Correct answer: 2. Heat cramps

Explanation: Ans. is 'b; i.e., Heat cramps Heat cramps/Miner's cramps/Stoker's cramp/Firemen's crampo These are painful spasm of voluntary muscles which follow stemous work in a hot atmosphere.o These are caused by loss of water and salt in profuse prespiration (sweating).